During Splenectomy in ITP, platelet is infusion given at
1. Immediately after ligating splenic vein
2. Immediately after removal of spleen
3. After incision
4. Next day of surgery

Correct answer: 1. Immediately after ligating splenic vein

Explanation: Immediately after ligating splenic vein * Patients with extremely low platelet counts (<10,000/mm3) should have platelets available for surgery, but should not receive them preoperatively. * This is because the transfused platelets will get sequestered in the spleen and are lost with splenectomy. * Once the splenic pedicle is ligated, platelets are given to those who continue to bleed.